What are the characteristics of the primary (initial) bacterial colonizers of the tooth in dental plaque formation?
1. Gram-negative facultative
2. Gram-positive facultative
3. Gram-negative anaerobic
4. Gram-positive anaerobic

Correct answer: 2. Gram-positive facultative

Explanation: Streptococcal and Actinomyces species are initial colonizers of dental plaque. They are grampositive, facultative micro-organisms.